Mechanism of action of cholestyramine is ?
1. Bind to bile acid
2. Decrease HMG-COA
3. Increase excretion of cholesterol
4. Decrease utilization of cholesterol

Correct answer: 1. Bind to bile acid

Explanation: Ans. is 'a' i.e., Bind to bile acid "Chlestyramine is a bile acid sequesterant"